A Sepsis Wound score includes all except
1. Scours discharge
2. Purulent discharge
3. Erythema
4. Induration

Correct answer: 4. Induration

Explanation: A Sepsis Wound score :
A - Additional treatement

Antibiotics for wound infections.
Drainage of pus under local Anaesthesia.
Debridement of wound under GA.

S - Serous Discharge.
E - Erythema.
P - Purulent Discharge.
S - Separation of deep tissues.
I - Isolation of bacteria from wound.
S - Stay as inpatient prolonged over 14 days.